Lignocaine is useful:
1. Atrial fibrillation
2. PSVT
3. Digitalis induced toxicity
4. All of the above

Correct answer: 3. Digitalis induced toxicity

Explanation: Ans. C. Digitalis induced toxicityDOC for atrial fibrillation- verapamil. PSVT- adenosine, Digitalis induced toxicity- lignocaine.